Prevalence of schizophrenia in dizygotic twins of schizophrenic patient is
1. 40%
2. 1%
3. 12%
4. 0.10%

Correct answer: 3. 12%

Explanation: Usual prevalence in general population is 0.5 to 1% and 40% in child with both parents being schizophrenic. Among dizygotic twins, it is 12% if a parent is schizophrenic Ref: Essentials of postgraduate psychiatry By JN Vyas 1st ed Pg 386